A patient presents to the emergency department with self-harm and indicates suicidal intent. Which of the following conditions does not warrant an immediate specialist assessment -
1. Formal thought disorder
2. Acute alcohol intoxication
3. Chronic severe physical illness
4. Social isolation

Correct answer: 2. Acute alcohol intoxication

Explanation: Serious physical illness, Formal thought disorders (Schizophrenia), social isolation (depression) and acute alcohol intoxication are all established risk factors for suicidal ideation / completed suicide and should be assessed by a mental health specialist.
An accurate specialist assessment cannot, however, be performed on an intoxicated individual and hence immediate referral to mental health specialist is not warranted for such patients until the patient is sober.